True regrading cystic hygroma
1. Non transilluminat
2. Lined by columnar epithelium
3. Lined by stratified epithelium
4. Develops from jugular lymphatic sequestration

Correct answer: 4. Develops from jugular lymphatic sequestration

Explanation: Cystic hygroma Cystic hygroma is a swelling usually occurring in the lower third of the neck It is most commonly seen in the posterior triangle of the neck, but may also occur in axilla, groin & mediastinum It results due to sequestration of a portion of the jugular lymph sac from the lymphatic system. It usually manifests in the neonate or in early infancy (occasionally present at birth) The swelling is soft and partially compressible and invariably increases in size when the child coughs or cries. The characteristic that distinguishes it from all other neck swellings is that it is brilliantly translucent. The cysts are filled with clear lymph and are lined by endothelium. Mostly these are multiple cysts but occasionally they can be unilocular. It may show spontaneous regression. Treatment There are two methods of treatment: Surgical excision & Sclerotherapy "Complete surgical excision is the preferred treatment; however, this may be impossible because of the hygroma infiltrating within and around important neurovascular structures. Because hygromas are not neoplastic tumors, radical resection with removal of major blood vessels and nerves is not indicated. Injection of sclerosing agents such as bleomycin or the derivative of Streptococcus progenies OK-432 have also been reported to be effective in the management of cystic hygromas. Intracystic injection of sclerosants appears to be most effective for macrocystic hygromas, as opposed to the microcystic variety." "The modern management of most cystic hygromas includes the combination of surgical excision and image-guided sclerotherapy." Ref : Love & Bailey 25/e p729